Lachmann's test is used for -
1. ACL injury
2. PCL injury
3. MCL injury
4. LCL injury

Correct answer: 1. ACL injury

Explanation: Ans. is 'a' i.e., ACL injury ACL injuryo ACL is the most commonly injured ligament of knee.o Most common mechanism of injury is twisting (medial rotation) with valgus injury on semiflexed knee.o Often with this mechanism MCL and media! meniscus are also injured. This triple injury of ACL , MCL and medial meniscus is called O'Donghue triad.o Isolated ACL can also be injured by hyperextension injury.Tests for ACL injuryo Following tests are used for ACL injury : -i) Lachman s testii) Anterior drawer testiii) Pivot shift testiv) Jerk testv) t texion-rotation drawer testvi) Loose's testo Lach man's test is the most sensitive test for anterior cruciate ligament tears. It is done with the knee flexed at 20 degrees. So it can be done in acute as well as chronic injuries, (because in acute cases with hemarthrosis more flexion is usually not possible so performing anterior drawer test is difficult).